Which of the following is NOT associated with peptic ulcer disease?
1. Smoking cigarette
2. Zollinger Ellison's syndrome
3. Plummer Vinson syndrome
4. Cirrhosis

Correct answer: 3. Plummer Vinson syndrome

Explanation: Plummer vinson syndrome is a premalignant condition of both oral cavity and esophagus. It is typically seen in women over 40 years of age. It typically presents with: Iron deficiency anemia Dysphagia (due to fibrous esophageal web at its upper end) Atrophic oral mucosa, glossitis Brittle spoon shaped fingernails Peptic ulcer is not a feature of plummer vinson syndrome. Ref: Textbook Of Surgery By S. Das 3/e, Page 818.